The treatment most likely to benefit a patient of massive pulmonary embolism in shock
1. Thrombolytic therapy
2. Inotropic agent
3. Vasodilator therapy
4. Diuretic therapy

Correct answer: 1. Thrombolytic therapy

Explanation: For a patient with massive pulmonary embolism in shock,primary therapy consists of clot dissolution with thrombolytics like tPA/streptokinase or removal of PE by embolectomy.The preferred fibrinolytic regimen is 100 mg of recombinant tPA(tissue plasminogen activator) administered as a continuous peripheral iv infusion over 2 hours.Anticoagulation with heparin and warfarin or placement of an inferior vena cava filter constitutes secondary prevention of recurrent PE. Reference:Harrison's Medicine-18th edition, page no:2174-2176.